What would be an ideal clasp on a tooth with high survey Line?
1. All wrought clasp
2. All metal clasp
3. Cast metal clasp with wrought retentive terminal
4. Wrought metal clasp with soldered noble metal retentive terminal

Correct answer: 3. Cast metal clasp with wrought retentive terminal